A 20-year-old man presents with severe right lower quadrant abdominal pain, nausea, and anorexia. He states that the abdominal pain started around his umbilicus and has now migrated to the right lower quadrant of his abdomen. Physical examination reveals exquisite tenderness at McBurney's point . This patient is diagnosed with acute appendicitis. Which of the following is the treatment for this condition?
1. Antibiotics only, because the appendix is crucial for survival
2. Surgical resection of the appendix, because appendicitis can lead to appendiceal cancer
3. Surgical resection of the appendix, because appendicitis can lead to perforation or abscess
4. "Watch-and-wait" approach over days to see if inflammation subsides

Correct answer: 3. Surgical resection of the appendix, because appendicitis can lead to perforation or abscess

Explanation: - The inflamed appendix in acute appendicitis should be emergently removed because of possible devastating complications of perforation or abscess.